All of the following infections may be transmitted
by dental instruments except
1. HIV
2. Hepatitis C
3. Hepatitis B
4. Hepatitis E

Correct answer: 4. Hepatitis E